After incision and drainage of an abscess the infectious process has failed to regress inspite of the patient being on high doses of an antibiotic. It would be wise to:
1. Insert a large drain
2. Repeat culture and sensitivity tests
3. Debride and irrigate the area with a fibrinolytic agent
4. Begin the parenteral administration of proteolytic enzymes to augment the antibiotics

Correct answer: 2. Repeat culture and sensitivity tests